True regarding pre-exposure tetanus immunization are all except:
1. If already immunized, a booster in the last trimester is advocated
2. Vaccine is given intramuscularly
3. Tetanus immunoglobulin is injected to the mother
4. 2 doses are recommended

Correct answer: 3. Tetanus immunoglobulin is injected to the mother

Explanation: Ans. C: Tetanus Immunoglobulin is Injected to the Mother Administration of attenuated virus vaccines are contraindicated during pregnancy, this includes vaccines against measles, mumps, poliomyelitis, rubella, yellow fever, and varicella. MMR vaccination can be given during lactation and does not affect the baby. The CDC recommends that non-pregnant women who receive the MMR vaccine or varicella vaccination should wait four weeks before getting pregnant. In situations where inactivated virus or parts of a virus are administered, in general, there is no contraindication to immunization during pregnancy. Thus influenza vaccination is given to pregnant women at risk, as are vaccinations against hepatitis A and B. HPV vaccine was introduced in 2006. It is not to be used during pregnancy. BCG(Live attenuated bacterial) vaccine is used against tuberculosis and is contraindicated in pregnancy Inactivated bacterial vaccine is used during pregnancy for women who have a specific risk of exposure and disease. Vaccination against pneumococcus or meningococcus infections, or typhoid fever show no confirmed side effects regarding the fetus. Tetanus toxoids appear safe during pregnancy and are administered intramuscularly. 0.5 ml tetanus toxoid is given at 6 weeks interval for 2 such,the first one to be given between 16-24 weeks.. Immune globulins are used for post exposure prophylaxis. Such agents are considered in pregnant women exposed to hepatitis B, rabies, tetanus, varicella, and hepatitis A